Compensating mechanisms involved at high altitude is
1. Hyperventilation
2. Hypoventilation
3. Respiratory depression
4. Respiratory acidosis

Correct answer: 1. Hyperventilation

Explanation: The most important compensatory mechanism that occurs at high altitude is hyperventilation. This may lead to respiratory alkalosis which is not a compensatory effect but may cause an opposing effect at the respiratory centre, to hypoxic stimulation.